A chest x ray with arrows showing Hilar vascular markings, Kerly B lines, Hazy Lt. Lung field. Diagnosis is
1. Mild congestive heart failure
2. Pleural effusion
3. Bronchiectasis
4. Emphysema

Correct answer: 1. Mild congestive heart failure

Explanation: (A) Mild congestive heart failure # Bronchovasular markings made by blood vessels supplyiung nutrients to bronchi and bronchioles in lungs seen in pulmonary or respiratory infections.> Kerly B lines represent interlobular septa present at lung bases on x ray seen in pulmonary oedema, lymphangitis, maligant lymphoma, viral and fungal pneumonia, pulmonary fibrosis.